Anatomical dead space is equivalent to:
1. 1/3rd of tidal volume
2. 2/5th of tidal volume
3. 10 ml/kg of body weight
4. 15 ml/kg of body weight

Correct answer: 1. 1/3rd of tidal volume

Explanation: Anatomic dead space refers to the volume of the conducting airways and is around 130 - 180ml (2ml/kg throughout life) in the adult i.e about 1/3rd of tidal volume. Physiologic dead space: It refers to the proportion of the tidal volume that does not participate directly in gas exchange. It consists of the anatomic dead space and the alveolar dead space. It comprises 25 - 35% of of the normal tidal volume.